Which of the following does not causes invasive diarrhea?
1. Salmonella
2. Aeromonas
3. Shighella
4. Bacillus cereus

Correct answer: 4. Bacillus cereus

Explanation: Bacillus cereus REF: Harrison 17th ed table 40-2 Organisms causing Invasive diarrhea: Minimal inflammation Rotavirus and Norwalk agent (cause watery diarrhea) Variable inflammation Salmonella, Campylobacter, and Aeromonas species, Vibrio parahaemolyticus (watery or bloody diarrhea) Severe inflammation Shigella species, enteroinvasive E. coli, Entamoeba histolytica